Gastric motility decreases in A/E:
1. Diabetes
2. Upper abdominal surgery
3. Stroke
4. Hyperthyroidism

Correct answer: 4. Hyperthyroidism

Explanation: Answer is D (Hyperthyroidism): Hyperthyroidism is associated with increased gastric and intestinal motility while Hypothyroidism is associated with decreased gastric and intestinal motility. Hyperthyroidism Hyperrnotilitv: diarrhea or steatorrhea Hypothyroidism Decreased motility: reflux, bezoars, ileus, constipation